The representational hemisphere (cerebral) is better than the categorical hemisphere at?
1. Language functions
2. Recognition of objects by their form
3. Understanding of printed words
4. Mathematical calculation

Correct answer: 2. Recognition of objects by their form

Explanation: Categorial hemisphere (left)- Spoken language, written language, mathematical calculation.
Representational hemisphere (right)- Visuospatial orientation, musical awareness.